During growth cycle of a child, usually at what age childhood ends and adolescence starts?
1. 8 years
2. 10 years
3. 12 years
4. 16 years

Correct answer: 2. 10 years

Explanation: WHO/UN definitions: Adolescent - 10-19 years Youth - 15-24 years Young people - 10-24 years Ref: Ghai essential pediatrics, 6th edition, Page 66.